After 5 days of a normal vaginal delivery a woman is brought to the casualty at 11 pm by her husband with history of crying, loss of appetite, difficulty in sleeping, and feeling of low self esteem. Her general physical examination is un-remarkable and there are no worrisome findings from a pelvic examination. Which of the following is the best term to describe her symptoms postpartum?
1. Blues
2. Manic depression
3. Neurosis
4. Psychosis

Correct answer: 1. Blues

Explanation: Postpartum Mood Disorders Post partum blues Occur within first few days and resolve by 2 weeks (50-60 %) Due to sudden loss of progesterones. Characterised by mild mood swings, irritability, anxiety, decreased concentration, insomnia , tearfullness, crying spells85% of women for a short time in the immediate postpartum period. Post partum Depression Occurs in first 3-6 months (10-15%) insomnia, anxiety, low self worth, unable to care for and bond with baby, Post partum Psychosis Within first 2-3 months (<1%) severe insomnia, rapid mood swings, anxiety, psychomotor restlessness, delusions and hallucinations